Canakinumab is a monoclonal antibody against:
1. IL-1
2. IL-2
3. IL-5
4. IL-6

Correct answer: 1. IL-1

Explanation: Canakinumab and Anakinra are IL-1 inhibitors used in the treatment of gout.